Hemifacial microsomia occurs during:
1. Formation of germ layer
2. Migration of neural crest cells
3. At the time of organ formation
4. Final differentiation of tissue

Correct answer: 2. Migration of neural crest cells